Which of the following has mot penetrating power ?
1. α – particle
2. β – particle
3. γ – radiation
4. Electron beam

Correct answer: 3. γ – radiation

Explanation: Penetration Power
Maximum : Gamma - rays (1000 times of arays)
Minimum : Alpha rays